For re﻿storing the occlus﻿al plane of a tilted molar, which of the following is the best?
1. Crown
2. Onlay
3. Amalgam restoration
4. None of the above

Correct answer: 2. Onlay

Explanation: An onlay is excellent for restoring the occlusal plane of a mesially tilted molar. When the unprepared occlusal surface (mesial portion) is less than the desired occlusal plane, a corresponding decrease in occlusal surface reduction is indicated. To facilitate increasing the height of the tooth, while maintaining the desirable faciolingual dimension of the restored occlusal surface and good contour of the facial and lingual surfaces, the counterbevels on the latter surfaces often should be extended gingivally more than usual.
Sturdevant operative dentistry 7th Edition, Page No:e126